Which of the following enzyme metabolizes Nitrates to produce Nitric oxide (NO)
1. Alcohol dehydrogenase
2. Nitrate reductase
3. Aldehyde dehydrogenase
4. Phosphodiesterase - 5

Correct answer: 3. Aldehyde dehydrogenase